Commotio retinae is seen in
1. Central retinal vein thrombosis
2. Central retinal artery thrombosis
3. Concussion injury
4. Retinopathy of AIDS

Correct answer: 3. Concussion injury

Explanation: BLUNT TRAUMA Retina 1. Commotio retinae (Berlin's oedema): It is of common occurrence following a blow on the eye. It manifests as milky white cloudiness involving a considerable area of the posterior pole with a cherry-red spot' in the foveal region. 2. Retinal haemorrhages: These are quite common following concussion trauma. Multiple haemorrhages including flame-shaped and pre retinal (subhyaloid) D-shaped haemorrhage may be associated with traumatic retinopathy. 3. Retinal tears: These may follow a contusion, particularly in the peripheral region, especially in eyes already suffering from myopia or senile degenerations. 4. Traumatic proliferative retinopathy (Retinitis proliferans): It may occur secondary to vitreous haemorrhage, forming tractional bands. 5. Retinal detachment: It may follow retinal tears or vitreo-retinal tractional bands. 6. Concussion changes at macula. Traumatic macular oedema is usually followed by pigmentary degeneration. Sometimes, a macular cyst is formed, which on rupture may be converted into a lamellar or full thickness macular hole. Ref:- A K KHURANA; pg num:-406